In national vector borne disease control program which disease is not included?
1. Malaria
2. Yellow fever
3. Japanese encephalitis
4. Kala azar

Correct answer: 2. Yellow fever

Explanation: Ans. (b) Yellow feverRef. K. Park 21sted./380* The National Vector Borne Disease Control Programme (NVBDCP) is implemented for the prevention and control of vector borne diseases such as: Malaria, Filariasis, kala-azar, Japanese encephalitis, Dengue and Chikunguniya.* Yellow fever is NOT a part of NVBDCP.